Burtonian line is seen in chronic poisoning of:
1. Arsenic
2. Lead
3. Copper
4. Mercury

Correct answer: 2. Lead

Explanation: Ans. B i.e. Lead